B/L Occlusion of distal branches of PCA leads to:
1. Parinaud's syndrome
2. Weber's syndrome
3. Anton's syndrome
4. Benedikt syndrome

Correct answer: 3. Anton's syndrome

Explanation: Anton's syndrome: Visual anosognosia associated with confabulation in the setting of obvious visual loss and cortical blindness Due to B/L Occlusion of distal branches of PCA. Parinaud's syndrome: Triad of upgaze paralysis, convergence retraction nystagmus, pupillary light-near dissociation. Weber's syndrome: Presence of an ipsilateraloculomotor nerve palsy Contralateral hemiparesis or hemiplegia due to occlusion of P1 PCA. Benedikt syndrome: Lesion in Red nucleus and 3rd n. nucleus I/L 3rd N. palsy, C/L chorea and resting tremors.